Which of the following is method of treating venous ulcer
1. Hilton's method
2. Trivex method
3. Bisgaard method
4. Tessari method

Correct answer: 3. Bisgaard method

Explanation: Bisgaard method is method for treating venous ulcer.